At the CEJ, which of the following occurs
1. Cementum meets enamel
2. Cementum overlaps enamel
3. Cementum does not meet enamel
4. All of the above

Correct answer: 4. All of the above